Both hyperplasia and hypertrophy are seen in
1. Breast enlargement during lactation
2. Uterus during pregnancy
3. Skeletal muscle enlargement during exercise
4. Left ventricular hypertrophy during heart failure

Correct answer: 2. Uterus during pregnancy

Explanation: Ref,Robbins 9/e p36 The massive physiological growth of the uterus during pregnancy is a good example of hormone induced increase in size of an organ that results from both hypertrophy and hyperplasia